All of the following are of the size of adult at birth except
1. Tympanic membrane
2. Ossicle
3. Cochlea
4. Mastoid process

Correct answer: 4. Mastoid process

Explanation: The tympanic membrane, the ossicles and the cochlea have reached adult size at birth but the external auditory canal is much smaller than its adult size. In adults the tympanic membrane lies at about a 45-degree angle from the horizontal, while in newborns it is nearly horizontal. In Mastoid process pneumatization occurs along with increasing age. Ref- Dhingraa textbook for ENT 6th edition.